The maxillary nerve arises from the trigeminal ganglion in the middle cranial fossa. It passes forward in the lateral wall of the cavernous sinus and leaves the skull through which of the following foramen to enter the pterygopalatine fossa -
1. Foramen ovale
2. Foramen spinosum
3. Foramen rotundum
4. Foramen lacerum

Correct answer: 3. Foramen rotundum

Explanation: Maxillary nerve passes through foramen rotundum.